Which is the most preferred method to manage the case of an apprehensive 7 year old child having a history of unpleasant experience with dental treatment?
1. Voice control
2. Premedication
3. Desensitization
4. Postponing appointment

Correct answer: 3. Desensitization

Explanation: The objectives of tell-show-do are to: teach the patient important aspects of the dental visit and familiarize the patient with the dental setting, and shape the patient’s response to procedures through desensitization and well-described expectations. 
Note: This method was given by Addleston.